Gottron's papules are seen in -
1. Dermatomyositis
2. Sarcoidosis
3. Scleroderma
4. Fungal infection

Correct answer: 1. Dermatomyositis

Explanation: Ans. is 'a' i.e., Dermatomyositis Cutaneous signs of dermatomyosits1. Gottron's papules lilac or violaceous papules on knuckle, dorsa of hands.2. Gottron's sign Violaceous erythema with edema over shoulder, arms, forearms.3. Heliotrope sign Violaceous erythema with edema over eyelids, periorbital region.4. Poikiloderma Atrophy of skin, hypopigmentaion, dilated blood vessels over trunk.5. Mechanic hand Symmetric hyperkeratosis along ulnar aspect of thumb and radial aspect of fingers.6. Shawl Sign Violaceous erythema extending from dorsolateral aspect of hands, forearms, and arms to shoulder & neck.7. Calcinosis cutis Calcium deposits in skin (in Juvenile variant).8. Miscellaneous signs Photosensitivity, vasculitis, panniculitis, Nail-fold telangiectasia.Extracutaneous invplvement1. Proximal myositis2. Cardiomyopathy 3. Raynaud's phenomenon4. Arthralgia